Most common site of perilymph fistula ?
1. Round window
2. Oval window
3. Otic capsule
4. Attic

Correct answer: 2. Oval window

Explanation: Ans. is 'b' i.e., Oval window Perilymph fistula In this condition, perilymph leaks into the middle ear through the oval or round window. Perilymphatic fistula (so positive fistula test) may occur due to a defect in one of three locations : 1. Oval - window (most common site) Stapedectomy surgery (for otosclerosis) Head trauma or Barotrauma (Pressure injury) Acoustic trauma 2. Round window (rupture of round window membrane) Barotrauma :- SCUBA diving, airplane pressurization Congenital malformations (mondini dysplasia) 3. Otic capsule Another possible location for a fistula is in the bone of the ear (the otic capsule). This is a rare condition where the bone between the ear and brain area is missing or thin, causing symptoms very similar to that of round or oval window fistula. Causes are :- Superior canal dehiscence syndrome Cholesteotoma Fenestration surgery (surgically created window in horizontal SCC) Erosion of Horizontal (lateral) SCC due to any cause Temporal bone fracture Micro fissure